Which is false regarding Phenol poisoning?
1. Stomach wash may be given with charcoal
2. Urine may turn blue
3. Death may be due to respiratory failure
4. CNS depression may occur

Correct answer: 2. Urine may turn blue

Explanation: Phenol is oxidized into hydroquinone and pyrocatechol, further oxidation of hydroquinone and pyrocatechol in urine causes a green colouration and is known as carboluria. Ref: Essentials of Forensic Medicine and Toxicology by Narayan Reddy, 21st Edition, Page 459.